According to the Freud's psychosexual theory, which stage corresponds with the development of mixed dentition and character formation?
1. Genital
2. Concrete operational
3. Phallic
4. Latency

Correct answer: 4. Latency

Explanation: Development of Personality
Freud divided the development of personality into five stages:

The oral stage (birth to 18 months)
The anal stage (18 months to 3 or 4 years)
The phallic stage (3 or 4 to 6 years)
The latency stage (6 to 11 years)
The genital stage (11 years onwards)

Latency stage

This period extends through late childhood to puberty. 
Children may learn about the social environment around them, other people, culture, values and their own skills, capacities and interests. 
There is little pressure from the Id and little internal conflict and this latency lasts for 5–6 years, till puberty upon which they become capable of reproduction and the sexuality is reawakened.
This stage corresponds with development of mixed dentition and character formation.

Pediatric Dentistry, Principles and Practice / M.S. Muthu, N. Sivakumar - 2nd Ed P: 226